Which of the following is not a personality trait?
1. Sensation seeking
2. Neuroticism
3. Openness to experience
4. Problem solving

Correct answer: 4. Problem solving

Explanation: There are 5 Personality traits(parameters)-Mnemonics- OCEAN Openness to experience(novelty seeking, sensation seeking) Conscientiousness(disciplined ,dutiful and organized) Extraversion(outspoken) Agreeableness(cooperative to others) Neuroticism(Tendency to experience negative emotions,emotional instability) Sensation seeking is apart of "openness to experience". Problem solving is not a personality trait.